Blood loss more than _____ ml following LSCS is PPH:
1. 1350
2. 1500
3. 550
4. 1000

Correct answer: 4. 1000

Explanation: DEFINITION OF PPH: Qualitative defn: any blood loss from genital tract, after delivery significant enough to affect the general conditon of the mother as evidenced by tachycardia or hypotension Quantitative defn: Blood loss over- >500 ml from the genital tract within 24 hours of the vaginal birth or >1000 ml after a cesarean delivery or any hemorrhage that can drop Hb by 1 gm% mild PPH: 500 to 1000 ml moderate PPH: 1000 to 2000 ml severe PPH: > 2000 ml massive obstetric hemorrhage: > 1500 ml or Hb drop of > 4 gm % Primary PPH: PPH occuring within 24 hrs of delivery Secondary PPH: PPH occuring after 24 hours of delivery to 12 weeks post partum.